Palatal cusp of upper posterior teeth in complete denture patients should fall on
1. Crest of mandibular ridge
2. Lingual to crest of mandibular ridge
3. Buccal to crest of mandibular ridge
4. Buccal vestibule

Correct answer: 1. Crest of mandibular ridge